The most important prognostic factor for carcinoma breast is:
1. Stage
2. DNA content of tumor
3. Histologic subtype
4. Tumor grade

Correct answer: 1. Stage

Explanation: Most important prognostic factor for carcinoma breast: StageQ >Axillary LN statusQ Most important prognostic factor for Wilm's tumor: HistologyQ >StageQ Most important prognostic factor for soft tissue sarcoma: Tumor gradeQ